Ototoxicity and nephrotoxicity is caused by:
1. Antiemetic
2. Antiviral
3. Antifungal
4. antibiotic

Correct answer: 4. antibiotic